Lacrimation is lost in lesion of?
1. Nasociliary nerve
2. Greater petrosal nerve
3. Ant. ethmoidal nerve
4. Supraorbital nerve.

Correct answer: 2. Greater petrosal nerve

Explanation: Greater petrosal nerve Lacrimal gland is supplied by the lacrimal nerve which is both sensory and secretomotor.The secretomotor fibres to the gland runs as follows: Lacrimatory nucleus (or superior salivatory nucleus) nervusintermedius -4 geniculate ganglion greater petrosal nerve --> nerve of the pterygoid canal --> pterygopalatine ganglion (relay of secretomotor fibres) --> zygomatic nerve -4 zygomaticotemporal branch --> lacrimal nerve --> lacrimal gland.